Mechanism of action of Clomiphene Citrate is:
1. Binds to estrogen receptors and causes negative feedback at hypothalamus
2. Binds estrogen receptors and prevents negative feed back at hypothalamus
3. Binds to progesterone receptors
4. Progesterone agonist

Correct answer: 2. Binds estrogen receptors and prevents negative feed back at hypothalamus

Explanation: Clomiphene citrate binds to both Estrogen receptors (ER a and B) and acts as a pure estrogen antagonist, in all human tissues. It induces the Gn secretion in women by blocking estrogenic feedback inhibition of pituitary which inturn increases the amount of LH and FSH released at each secretory pulse and results in ovulation. Ref: KDT, 6th Edition, Page 303 ; Essentials of Medical Pharmacology By K D Tripathi, 4th Edition, Page 278